A rapidly destructive infection of nose and paranasal sinuses in diabetics is:
1. Histoplasmosis
2. Sporotrichosis
3. Mucormycosis
4. Sarcoidosis

Correct answer: 3. Mucormycosis

Explanation: Mucormycosis It is a fungal infection of nose and paranasal sinuses which may prove rapidly fatal. It is seen in uncontrolled diabetes or in those taking immunosuppressive drugs Ref Dhingra 6/e,p 159